Which of the following is not used as treatment for upper GI bleeding
1. Pantoprazole
2. Desmopressin
3. Terlipressin
4. Octreotide

Correct answer: 2. Desmopressin

Explanation: Desmopressin is used to treat bleeding in von willebrand disease.
Propranolol is used to prevent re bleeding